All are dimorphic fungi except -
1. Blastomyces dermatitidis
2. Histoplasma
3. Pencillium marneffei
4. Phialophora

Correct answer: 4. Phialophora